Gerlach tonsil in Waldayer's ring is
1. Tubal tonsil
2. Palatine tonsil
3. Pharyngeal tonsil
4. Lingual tonsil

Correct answer: 1. Tubal tonsil

Explanation: Ans. is 'a' i.e., Tubal tonsil